Which of the following is associated with elevated alkaline phosphate, low calcium with low phosphate?
1. Paget's disease
2. Osteoporosis
3. Primary hyperparathyroidism
4. Vitamin D deficiency

Correct answer: 4. Vitamin D deficiency

Explanation: Option A - Paget's disease: Normal Ca+, Normal PO4, SAP |||| Option B - Osteoporosis: Normal Ca+, Normal PO4, SAP normal Option C - Primary Hyperparathyroidism | Ca+, | PO4, SAP |, Bone turnover| Option D - Vitamin D deficiency: Calcium | , PTH| , PO4| , SAP | Note: Ca+ is inversely proportional to PO4